Which of the following stimulate adenylate cyclase with G-protein coupled action ?
1. Shiga toxin
2. Cholera toxin
3. Diphtheria toxin
4. Pseduomonas toxin

Correct answer: 2. Cholera toxin

Explanation: Ans. is 'b' i.e., Cholera toxin